Which of the following is the 'Least common' complication of measles ?
1. Diarrhea
2. Pneumonia
3. Otitis media
4. SSPE

Correct answer: 4. SSPE

Explanation: Ans. (d) SSPE Complication of Measles Otitis media (MC) Very common in infants with measles Pneumonia May be primary viral pneumonia or bacterial superinfection; frequent reason for hospitalization of adults; measles rash sometimes lacking in immunocompromised patients with measles pneumonia. Primary giant cell (Hecht's) pneumonia is seen in immunocompromised Croup Occasionally severe Gastroenteritis Many children with measles develop diarrhea which contributes to malnutrition , i Due to lymphoid hyperplasia as host response to virus; common Cervical adenitis Acute encephalitis May be mild to severe/fatal; occurs in 1 in 1000 cases of mesles Subacute sclerosing In 1 in 100,000 cases of measles, usually when measles occured in infancy; seen 5-10 years later. SSPE is panencephalitis a rare progressive disease characterized by seizures and progressive deterioration of cognitive and motor (SSPE) functions and death